Which of the following antitubercular drugs is safe in hepatitis ?
1. Isoniazid
2. Rifampicin
3. Pyrazinamide
4. Ethambutol

Correct answer: 4. Ethambutol

Explanation: Patients with hepatic disease pose a special problem because of the hepatotoxicity of isoniazid, rifampin, and pyrazinamide. Patients with severe hepatic disease may be treated with ethambutol, streptomycin, and possibly another drug (e.g., a fluoroquinolone); if required, isoniazid and rifampin may be administered under close supervision. The use of pyrazinamide by patients with liver failure should be avoided. Silicotuberculosis necessitates the extension of therapy by at least 2 months. (Harrison's Principles of internal medicine, 20 th edition, page 1356)